Components of comunication
1. Sender
2. Channel
3. Feedback
4. All of the above

Correct answer: 4. All of the above

Explanation: Communication has following components:Sender (source)Receiver (Audience)Message (Content)Channel (medium)Feedback (effect)Park 23e 854